Pawn ball megakaryocytes are characteristic of-
1. Myelodysplastic syndrome
2. idiopathic thrombocytopenic purpura
3. Thrombotic thrombocytopenic purpura
4. Chloramphenicol toxicity

Correct answer: 1. Myelodysplastic syndrome

Explanation: The term "Pawn Ball Megakaryocytes" has been used to describe a peculiar type of abnormal cell that can be found in bone marrow samples taken from some patients with the myelodysplastic syndrome (MDS). In the 1970s, the term "pawn ball megakaryocytes" came into colloquial usage among bone marrow morphologists . Ref Davidson 23rd edition pg 961